Which compliment blinds with Fc portion of IgM in Classic pathway ?
1. CI
2. C2
3. C3
4. C4

Correct answer: 1. CI

Explanation: Ans. is 'a' i.e., C1 C1q portion of C1 binds to the Fc portion of IgM (CH2 region) and IgG (CH4 region).